A male 45 year old presents to the clinic for routine checkup. He is a known case of hypertension and is under treatment. The clinician advises him to have a balanced diet involving which of the following fatty acids?
1. ω3 fatty acids
2. ω6 fatty acids
3. ω9 fatty acids
4. Fatty acids need not be taken at all

Correct answer: 1. ω3 fatty acids

Explanation: Long chain ω3 fatty acids such as alpha-linolenic (ALA) (found in plant oils), eicosapentaenoic (EPA) (found in fish oil) and docosahexaenoic (DHA) (found in fish and algal oils) have anti-inflammatory  effects, perhaps due to their effects in promoting the synthesis of less inflammatory prostaglandins and leukotrienes as compared to ω6 fatty acids. In view of this their potential use as a therapy in severe chronic disease, where inflammation is a contributory cause is under intensive investigation. Current evidence suggests that diets rich in ω3 fatty acids are beneficial, particularly for cardiovascular disease, but also for other chronic degenerative diseases such as cancer, rheumatoid arthritis, and Alzheimer disease.